The coagulation profile in a 13 year old girl with menorrhagia having von Willebrand's disease is
1. Isolated prolonged PTT with a normal PT
2. Isolated prolonged PT with a normal PTT
3. Prolongation of both PT and PTT
4. Prolongation of thrombin time

Correct answer: 1. Isolated prolonged PTT with a normal PT

Explanation: In vonwillebrand disease aPTT will be prolonged and PT will be normal. Reference: GHAI Essential pediatrics, 8th edition